A primigravida presents at 41 weeks presents with PROM. On P/V, cervix is 3 cm with with fetal foot felt. The fetus's estimated weight is about 2.7 kg and the fetal heart rate tracing is reactive. How to complete this delivery?
1. Vaginally by breech extraction
2. Vaginally after external cephalic version
3. Perform an emergent cesarean section
4. Internal podalic version

Correct answer: 3. Perform an emergent cesarean section

Explanation: This is Footling breech presentation. There is a high risk of a cord prolapse and hence it is best that footling breech presentations undergo delivery by cesarean section.